Steroids used in treatment of HELLP syndrome
1. Decrease materral mortality rate.
2. Decrease rate of acute renal failure.
3. Increase platelet count in severe thrombocytopenia.
4. Increase rate of recovery of liver enzymes.

Correct answer: 3. Increase platelet count in severe thrombocytopenia.

Explanation: In patients with HELLP syndrome with dangerously low platelet count, steroids might serve to increase platelets.